The law stating that "the relative frequency of each gene allele tend to remain constant from generation to generation" is known as ?
1. Mendel's law
2. Hardy-Weinberg law
3. David-Morgan's law
4. Lamarck's law

Correct answer: 2. Hardy-Weinberg law

Explanation: Ans. is 'b' i.e., Hardy-Weinberg law Hardly-Weinberg law The hardly-weinberg law states that "The relative frequencies of each gene allele tends to remain constant from generation to generation". Thus, the study of gene frequencies, and the influences which operate to alter the "gene pool" and their long term consequences is the central theme in population genetics.